In cerebellar lesion NOT seen is
1. Ataxia
2. Nystagmus
3. Resting tremors
4. Past pointing

Correct answer: 3. Resting tremors

Explanation: Resting tremor is the manifestation of parkinsonism In cerebellar lesion intentional tremors are seen